Vesicoureteric reflux is commonly diagnosed by ________
1. Micturating cystography
2. Radioisotope renography
3. IVU
4. CT scan

Correct answer: 1. Micturating cystography

Explanation: Vesicoureteral reflux is usually diagnosed in one of two ways.Children who have a urinary tract infection that's been confirmed by a lab test will have an X-ray evaluation called a voiding cystourethrogram. Alternately, VUR may be suspected when a prenatal ultrasound reveals that the fetus has dilated kidneys, Voiding cystourethogram (VCUG). During this exam, a doctor use a thin, plastic tube to inject a fluid with an X-ray dye into your bladder. Then an X-ray machine takes a video during while you pee to see whether the fluid goes backward from the bladder to reach one or both kidneys. Children may become upset during this test, so it can be done with medicines that help keep them calm. Reference: GHAI Essential pediatrics, 8th edition